A 65 year old male with a history of smoking and alcohol abuse complains of poor appetite and difficulty swallowing both solid and liquid foods over the course of the last 4 months. He has lost 10 Kg and occasionally vomits blood. A mass is detected in his esophagus and is subsequently biopsied. What is the most likely histological appearance of the biopsy?
1. Glandular epithelium associated with desmoplasia
2. Malignant tumor of mesenchymal origin
3. Squamous cell morphology
4. Tumor derived from all three germ layers

Correct answer: 3. Squamous cell morphology

Explanation: The most common esophageal cancer is squamous cell in origin. The esophageal mucosa consists of stratified, nonkeratinized, squamous epithelium. Smoking and alcohol increase the risk for the development of esophageal carcinoma. Suspect cancer when there are signs like rapid weight loss in a short period of time and symptoms such as dysphasia, hematemesis, and anorexia.